Actions of cholecystokinin include all of the following except
1. Contraction of gall bladder
2. Secretion of pancreatic juice rich in enzymes
3. Increases the secretion of enterokinase
4. Stimulate gastric emptying

Correct answer: 4. Stimulate gastric emptying

Explanation: Functions of CCK (a) Contraction of gall bladder (b) Secretion of the pancreatic juice rich in enzyme (c) Augments the action of secretin producing secretion an alkaline pancreatic juice. (d) Inhibits gastric emptying (e) Exerts a trophic effect on the pancreas (f) Causes the secretion of enterokinase (g) Enhance, the motility of the small intestine (h) Augments the contraction of pyloric sphincter